Drug with no dependance or addiction ?
1. Morphine
2. Amphetamines
3. Benzodiazipines
4. LSD

Correct answer: 4. LSD

Explanation: Ans. is 'd' i.e., LSD[R4 Niraj Ahuja &/e p. 37)